Gettler's test is used to diagnose death due to:
1. Hanging
2. Strangulation
3. Burns
4. Drowning

Correct answer: 4. Drowning

Explanation: Ans. Drowning